Sensory supply of middle ear is provided by
1. Facial
2. Glossopharyngeal
3. Vagus
4. Trigeminal

Correct answer: 2. Glossopharyngeal

Explanation: Tympanic plexus provide the nerve supply It is formed by Tympanic branch of glossopharyngeal nerve Sympathetic fibres from plexus around the internal carotid artery Reference-Dhingra 6/e, p 8.